A Most common tumor of the urinary bladder is -
1. Sq. cell carcinoma
2. Adeno carcinoma
3. Transitional carcinoma
4. Str. squamous carcinoma

Correct answer: 3. Transitional carcinoma

Explanation: There are 3 common histological types of bladder cancer 

Transitional (urothelial) cell ca - ~90%
Squamous cell ca - ~5-10%
Adenocarcinoma - ~2%